During USG, fetal abdominal circumference is measured at the level of:
1. Stomach and umbilical vein, perpendicular to spine
2. Kidneys
3. Stomach parallel to spine
4. Liver and spleen

Correct answer: 1. Stomach and umbilical vein, perpendicular to spine

Explanation: Ans. is a, i.e Stomach and umbilical vein, perpendicular to the spineRef. Williams 24/e, p 198The abdominal circumference is measured at a transverse plane (i.e. plane perpendicular to fetal spine) at the level of stomach and conference of the umbilical vein with the portal sinus.It is an indicator of fetal growth, hence is an indicator of IUGR/macrosomia in fetus.Note: Biparietal diameter: is measured in transthalamic view at the level of thalamic and cavut septum pellucidum (CSP), from the outer edge of the skull to inner edge of the distal skull.